Which among the following has highest amount of protein in 100 gm:
1. Soyabean
2. Groundnut
3. Egg
4. Meat

Correct answer: 1. Soyabean

Explanation: Ans: a (Soyabean)Ref: Park, 20th ed. Pg. 528, 19th ed. Pg. 498Among the following Soybean has the highest amount of protein per 100 gm of food.FoodProtein (gm per 100 gm of food)Animal food Milk3.2-4.3Meat18-26Egg13Fish15-23Plant food Cereals6-13Pulses21-28Vegetables1-4Fruits1-3Nuts1.4-29Soyabean43.2Others Oifsugar and jaggerynilSoyabean is the richest among pulses. Limitting amino acidis methionine.Note, Richest source of vit.A -- Halibut liver oil.Richest source of vit.D -- Halibut liver oil.Richest source of vit.E -- vegetable oils, cotton seed, sunflower oilRichest source of vit.C -- amla (Indian gooseberry)